Common carotid artery is formed by?
1. 2nd aortic arch
2. 3rd aortic arch
3. 4th aortic arch
4. 6th aortic arch

Correct answer: 2. 3rd aortic arch

Explanation: HUMAN EMBRYOLOGY-INDERBIR SINGH TENTH EDITION-PAGE NO:254 The common carotid artery is derived,on either side,from part of the third arch artery,proximal to the external carotid bud.the internal carotid artery is formed by the portion of the third arch artery distal to the bud,along with the original dorsal aorta cranial to the attachment of the third arch artery